Area of brain resistant to neurofibrillary tangles in Alzheimer's disease:
1. Visual association area
2. Entorhinal cortex
3. Lateral geniculate body
4. Cuneal gyrus area VI/temporal lobe

Correct answer: 3. Lateral geniculate body

Explanation: Histopathological studies have shown that neurofibrillary tangles are rarely present in lateral geniculate bodies Neurofibrillary tangles : These are intracellular deposits made up of Tau proteins Amount & distribution of NFTs correlates with severity , distribution of Alzheimer NFTs are found commonly in following areas: Cortical neurons (esp entorhinal cortex) Hippocampus Amygdala Basal forebrain Raphe nuclei